Lesions of Neavus of OTA commonly involves the following cranial nerve
1. Oculomotor nerve
2. Trigeminal nerve
3. Facial nerve
4. Spinal accessory nerve

Correct answer: 2. Trigeminal nerve

Explanation: Nevus of Ota (Nevus Fuscocaeruleus Ophthalmomaxillaris) Melanocytes that have not migrated completely from the neural crest to the epidermis during the embryonic stage . Asian population most commonly affected, usually congenital * Malignant melanoma has been reported to develop in a nevus of Ota Clinical findings:- Blue to gray speckled macules or patches. Unilateral (90%). Can be bilateral. (Hori nevus: acquired bilateral blue/gray macules, no mucosal involvement). Forehead, temple, malar area, or periorbital skin (Branches of V1 and V2); mucosal involvement is possible and may involve the sclera, conjunctiva (oculodermal melanocytosis) and tympanic membrane; increased risk of glaucoma (10%). Histology ;- Dendritic melanocytes are present and surrounded by fibrous sheaths; dermal melanophages, 5 types based on the locations of the dermal melanocytes, which are (1) superficial, (2) superficial dominant, (3) diffuse, (4) deep dominant, and (5) deep. Treatment:- Q-switched: alexandrite, Nd:YAG, and ruby lasers. Ref:- Dermatology pictorial review by Asra Ali; pg num;-165